Mark the false statement regarding physiological gynacomastia
1. Adolescence gynecomastiais caused by excess of estradiol relative to testosterone.
2. Excess of circulating estrogens is specific to cause neonatal gynecomastia only
3. Neonatal gynecomastia is caused by the action of placental estrogens on neonatal breast tissues
4. Senescence gynecomastia is caused by fall in level of circulating testosterone

Correct answer: 2. Excess of circulating estrogens is specific to cause neonatal gynecomastia only

Explanation: Physiologic/Idiopathic gynecomastia No underlying pathologic > 60 % of neonates because of immediate exposure to transplacental estrogens. Estrogen and testosterone shifts occur during puberty. (Estrogen > testosterone) With increasing age, the prevalence keeps on increasing to >70% due to fall in testosterone levels